What is the delay between the S-A node discharge and arrival of the action potential at the ventricular septum?
1. 0.80 second
2. 0.16 second
3. 0.12 second
4. 0.09 second

Correct answer: 2. 0.16 second

Explanation: The impulse coming from the S-A node to the A-V node arrives at 0.03 second. Then there is a total delay of 0.13 second in the A-V node and bundle system, allowing the impulse to arrive at the ventricular septum at 0.16 second